All of the following statements about Heparin are true, except:
1. Causes Alopecia
2. Non Teratogenic
3. Releases Lipoprotein Lipase
4. Causes Hypokalemia

Correct answer: 4. Causes Hypokalemia

Explanation: Heparin inhibits the production of aldosterone. It thus lead to severe Hyperkalemia and not hypokalemia as mentioned in the choice above. Ref: Harrison's Textbook of Internal Medicine, 16th edition, Page 1261; K D Tripathi Textbook of Pharmacology, 5th Edition, Pages 561-63